Which of the following can cause laryngospasm on induction?
1. Halothane
2. Isoflurane
3. Sevoflurane
4. Desflurane

Correct answer: 4. Desflurane

Explanation: Desflurane is the most pungent of the inhalational agent and, if administered face mark can cause coughing, salvation, breath holding and laryngospasm. Thus it is not used for induction. Sevoflurane and halothane both have good smell thus both good for induction. Sevoflurane not only good smell ,low blood gas solubility so fast speed of induction thus agent of choice for induction.